Haversian canal is not seen in
1. Compact bone
2. Diaphyseal bone
3. Spongy bone
4. Cortical Bone

Correct answer: 3. Spongy bone

Explanation: Cancellous bone, also known as spongy or trabecular bone, is one of the two types of bone tissue found in the human body. Cancellous bone is found at the ends of long bones, as well as in the pelvic bones, ribs, skull, and the vertebrae in the spinal column. Spongy bone consists of plates (trabeculae) and bars of bone adjacent to small, irregular cavities that contain red bone marrow. The canaliculi connect to the adjacent cavities, instead of a central haversian canal, to receive their blood supply Red bone marrow is where blood cells are made. Inderbir Singh's textbook of human Histology Seventh edition Pg no94 !1